Least irritant fluid to peritoneum -
1. Blood
2. Urine
3. Bile
4. Pancreatic fluid

Correct answer: 1. Blood